Early gastric carcinoma indicated by
1. A lesion confined to the mucosa and sub mucosa
2. A lesion confined to sub mucosa and muscular wall
3. Cauliflower growth projecting in to the lumen
4. "Linitis plastica" appearance in stomach wall

Correct answer: 1. A lesion confined to the mucosa and sub mucosa

Explanation: A. i.e. (A lesion confined to the mucosa and sub mucosa) (598 - Basic - pathology 8th) (570- Harsh mohan 5th) (598-Basic-pathology 8th) EARLY GASTRIC CARCINOMA - defined as a lesion confined to the mucosa and submucosa, regardless of the presence or absence of perigastric lymphnode metastasis ADVANCED GASTRIC CARCINOMA - a neoplasm that has extended below the submucosa into the muscular wall**Ulcerative carcinoma is the most common pattern of advanced carcinoma* Scirrhous carcinoma of stomach - stomach wall is thickened due to extensive desmoplasia giving the appearance as "leather - bottle stomach" or linitis plasticcT. The lumen of the stomach is reduced there are no ulcers but rugae are prominent* Stomach reveal fat- laden cells - seen in post gastrectomy* Watermelon stomach is seen in Scleroderma.